Lipid envelope is found in which virus -
1. Reo
2. Herpes
3. Picorna
4. All of the above

Correct answer: 2. Herpes